All are true regarding diphtheria toxin except -
1. Toxin blocks elongation of protein
2. Beta lysogenic strain produces toxin
3. Iron is critical for toxin production
4. Toxin is necessary for local wound production

Correct answer: 4. Toxin is necessary for local wound production